Epidermoid carcinoma of renal pelvis is usually associated with -
1. Multiple papilomas
2. Pelvic calculus
3. Tuberculosis of kidney
4. Filariasis

Correct answer: 2. Pelvic calculus